The commonest variation in the arteries arising from the arch of aorta is:
1. Absence of brachiocephalic trunk
2. Left vertebral artery arising from the arch
3. Left common carotid artery arising from brachio cephalic trunk
4. Presence of retroesophageal subclavian artery

Correct answer: 3. Left common carotid artery arising from brachio cephalic trunk

Explanation: C i.e. Left common carotid artery arising from brachiocephalic trunk